Indicator used in autoclave is -
1. Clostridium tetani
2. Bacillus stearothermophilus
3. Bacillus pumilis
4. Bacillus subtilis Var Niger

Correct answer: 2. Bacillus stearothermophilus

Explanation: Ans: b (Bacillus stearothermophilus) Ref: Ananthanarayan, 7th ed,p. 78 Autoclaving: (Moist heat) (121degC X 15 min under 15 lb/sq.inch pressure) - dressings, gloves, glass syringes, culture media, suture materials except catgut. Sterilizing control is by bacillus stearo thermophilus. Hot air oven: (Dry heat) (160degCX 1 hr)-glasswares, glass syringes, oil, grease, liquid paraffin, dusting powder. Sterilization control is by spores of non toxigenic strains of Clostridium tetani.